Post-translation carboxylation of clotting factors requires
1. Vitamin C
2. Vitamin K
3. Vitamin A
4. Vitamin D

Correct answer: 2. Vitamin K

Explanation: The principal role of vitamin K is in the posttranslational modification of various blood clotting factors, in which it serves as a coenzyme in the carboxylation of certain glutamic acid residues present in these proteins. Vitamin K exists in several forms, for example, in plants as phylloquinone (or vitamin K1), and in intestinal bacterial flora as menaquinone (or vitamin K2). A synthetic form of vitamin K, menadione, is available.Function of vitamin K 1: Formation of g-carboxyglutamate (GLA): Vitamin K is required in the hepatic synthesis of prothrombin and blood clotting factors II, VII, IX, and X. These proteins are synthesized as inactive precursor molecules. Formation of the clotting factors requires the vitamin K-dependent carboxylation of glutamic acid residues to Gla residues (Figure 28.26). This forms a mature clotting factor that contains GLA and is capable of subsequent activation. The reaction requires O2, CO2, and the hydroquinone form of vitamin K. The formation of GLA is sensitive to inhibition by dicumarol, an anticoagulant occurring naturally in spoiled sweet clover, and by warfarin, a synthetic analogue of vitamin K.Ref: Lippincott, 5th edition, page no: 389